Female homosexualism is called
1. Sodomy
2. Bestiality
3. Fellatio
4. Tribadism

Correct answer: 4. Tribadism

Explanation: Female homosexualism is called lesbianism or tribadism. Sexual gratification is obtained by a woman by sexual contact with another woman. Acts like simple kissing, general body contact, deep kissing, manual manipulation of breast and genitalia, genital apposition, licking of genitals, and mutual sexual stimulation by using dildos are practiced. Ref: FORENSIC MEDICINE AND TOXICOLOGY Dr PC IGNATIUS THIRD EDITION PAGE 311